Dorsal column of spinal cord does not carry fibres of
1. Vibration
2. Pain
3. Two point discrimination
4. Stereognosis

Correct answer: 2. Pain

Explanation: (B) Pain # Dorsal column transmits Touch (Fine) Pressure Vibration Proprioception# Lateral spinothalamic tract Pain Temperature> Anterior spinothalamic tract Crude touch Pressures.